A 55 yr old male patient with chronic hepatitis B presents with fatigue. Which of the following codes for DNA polymerase?
1. S gene
2. X gene
3. Pgene
4. C gene

Correct answer: 3. Pgene

Explanation: HBV Genome has four overlapping genes. They code for: S gene: It codes for surface antigen. C gene: When C region alone is translated: HBcAg is formed. When translation begins from Pre C region, HBeAg is formed. P gene: Codes for DNA polymerase. X gene: Codes for a non-particulate protein HBxAg Reference: Ananthanarayan and Paniker's Textbook of Microbiology Tenth edition